In urea cycle which defect is an X linkeddisease ?
1. Ornithine transcarbamylase
2. Aspartate transcarbamylase
3. Arginase
4. Argininosuccinate synthase

Correct answer: 1. Ornithine transcarbamylase

Explanation: Ans. is 'a' i.e., Ornithine transcarbamylase